Which of the following used for recording very low air velocity
1. Globe thermometer
2. Kata thermometer
3. Anemometer
4. Sling psychrometer

Correct answer: 2. Kata thermometer

Explanation: Globe thermometer is used for Radiant temperature Kata Thermometer is also used for temperature measurement and is less sensitive to air velocity Anemometer is used to measure the velocity of the wind Psychrometer is used to measure humidity Park's Textbook of Preventive and Social Medicine, 25th Edition, Pg 810